'Sparrow's foot marks' are seen in which of the following injuries?
1. Gunshot Injuries
2. Stab injury of face
3. Windshield Glass injury
4. Vitriolage

Correct answer: 3. Windshield Glass injury

Explanation: Sparrow's foot marks refers to bizarre lacerations over the face seen in first row occupants in motor vehicular accidents as a result of contact with the shattered windscreen glass. They are relatively superficial. Ref: Textbook of Forensic Medicine and Toxicology', 4th Edition, Page 385; Forensic Pathology' by Williams (Churchill Livingstone) 1996, Page 71; Essentials of forensic medicine and toxicology, 27th Edition, Page 249